Which of the following indications of deep brain stimulation is not FDA approved?
1. OCD
2. Major depression
3. Parkinsonism
4. Dystonia

Correct answer: 2. Major depression

Explanation: FDA approved indications for deep brain stimulation are: a. Parkinson's disease and essential tremors b. Dystonia c. Obsessive compulsive disorder